Balanced force technique is used for tooth preparation:
1. Lateral force is used during preparation
2. Apical force is used during preparation
3. No force is used
4. None

Correct answer: 2. Apical force is used during preparation